Branched septate hyphae are found on cornmeal smear, in a case of corneal ulcer. Causative fungus is
1. Candida
2. Mucor
3. Aspergillus
4. Histoplasma

Correct answer: 3. Aspergillus

Explanation: Mucor is aseptate. Candida produces pseudohyphae. Aspergillus infection is caused by inhalation of mycelial fragments resulting in respiratory diseases, disseminated aspergillosis in brain, heart, kidney and superficial infections like sinusitis, mycotic keratitis and otomycosis. It is caused by A.fumigatus, A.flavus. On microscopy, it shows non pigmented septate hyphae with characteristic dichotomous branching at an angle of approximately 45degrees. Ref: Textbook of Microbiology, Ananthanarayan and Paniker; 9th edition